Content of Na+ in ringer lactate is mEq/L:
1. 154
2. 12
3. 130
4. 144

Correct answer: 3. 130